Which of the following movements is restricted in Perthe’s disease?
1. Adduction & external rotation
2. Abduction & external rotation
3. Adduction & internal rotation
4. Abduction & internal rotation

Correct answer: 4. Abduction & internal rotation

Explanation: There is limitation of abduction & internal rotation due spasm of muscles. 
Other signs : 

antalgic gait * muscle spasm detected by roll test 
* proximal thigh atrophy 
* short stature Symptoms: painless limp, mild pain in the hip or anterior thigh or knee ,onset of pain may be acute or insidious